The best screening test for hemophilia ?
1. PT
2. CT
3. PTT
4. BT

Correct answer: 3. PTT

Explanation: Ans. is 'c' i.e., PTT